Origin of melanocytes cell causing melanoma is:
1. Neural crest cells
2. Mesoderm
3. Ectoderm
4. Endoderm

Correct answer: 1. Neural crest cells

Explanation: Ref: Thappa DM, editor. Essentials in Dermatology, 2ndedn,, Mew Delhi: Jaypee brothers medical publishers (P) Ltd 2009Explanation:MelanocytesMelanocytes provide the pigment melanin to keratinocytes in the skin epithelium.These cells are neural crest in originRecent research suggests that these cells have same origin as Schwann cells.Melanocytes produce the dark pigment, melanin, which is responsible for the color of skin.These cells predominantly occur in skin, hut are also found in the bowel and the eyeEach melanocyte supplies melanin pigment to approximate 36 keratinocytes.Melanin is synthesized front tryrosine by enzyme tyrosinaseMelanoma is a malignant tumor of melanocytes.Melanoma can originate in any part of the body that contains melanocytes.